Amsel's criteria is used for;
1. Gardnerella vaginosis
2. Candidiasis
3. Trichomoniasis
4. Chlamydia infection

Correct answer: 1. Gardnerella vaginosis

Explanation: Amsel's criteria is used for diagnosis of Bacterial vaginosis MC Vaginitis Caused by Hemophilus vaginalis aka Gardnerella vaginalis Amsel's criteria - >= 3 out of 4 required for diagnosis of Bacterial vaginosis Creamy discharge Whiff test + Fishy odor Clue cells